A couple with Rh + female and Rh-male went for counseling of pregnancy. What should be advised -
1. No treatment is needed
2. Vaccine to mother on first baby
3. Vaccine to first baby
4. Vaccine to father

Correct answer: 1. No treatment is needed

Explanation: Ans. is 'a' i.e.. No treatment is needed o Hemolytic disease of newborn is seen in couples when the female is Rh (-ve) and male is Rh (+ve); since the female has capacity to develop antibodies against the D antigen if fetomaternal hemorrhage takes place incase when the fetus is Rh(+ve). o But if mother is Rh+ then her immune system is already tolerant to D antigen and thus even if fetomaternal hemorrhage occurs and the fetus is Rh + no antibodies are developed and there is no risk for the fetus of subsequent pregnancies to develop hemolytic disease of newborn. So no treatment is required by the couple in question.